According to school health services recommendations, a school should have-
1. 1 urinal/60 children and 1 privy for 100 children
2. 1 urinal/80 children and 1 privy for 150 children
3. 1 urinal/100 children and I privy for 100 children
4. 1 urinal/ 100 children and 1 privy for 200 children

Correct answer: 1. 1 urinal/60 children and 1 privy for 100 children

Explanation: Ans. is 'a' i.e., 1 urinal/60 children and 1 privy for 100 children Recommendations for school health service 1. Medical examination of children --> at the time of entery and thereafter every 4 years. 2. Land recommended i) Higher elementary school --> 10 acres ii) Primary schools --> 5 acres with an additional one acre of land per 100 students. 3. Exterior wall --> minimum thickness 10 inches 4. Maximum children in a class room --> 40 5. Per capita space in a classroom --> 10 sq. ft 6. Window position at a height of 2-6 feets from the floor level 7. Combined door and window area 25% of floor area 8. Ventilators --> 2% of floor area 9. Inside colour --> white 10. One urinal --> for 60 students 11. One latrine --> for 100 students